Remnant of ductus venosus will be:
1. Ligamentum teres
2. Ligamentum venosum
3. Ligamentum arteriosum
4. Falciform ligament

Correct answer: 2. Ligamentum venosum

Explanation: Ans. (b) Ligamentum VenosumRef: Langeman's 8th / 264, 259